Hemangioma of the rectuma) Common tumourb) Fatal haemorrhage seenc) Ulcerative colitis like symptoms seend) Acute anal fissure
1. bc
2. c
3. ac
4. ad

Correct answer: 1. bc

Explanation: Hemangioma of the rectum is an uncommon cause of serious hemorrhage.
When localized in the lower part of the rectum or anal canal, a hemangioma can be excised.
When the lesion is diffuse, or lying in the upper part of the rectum, the symptoms simulate ulcerative colitis.
Diagnosis is often missed for a long period, or it is mistakenly thought to be a carcinoma.
Selective angiography and embolization may be helpful, but excision of the rectum is sometimes required.